Organic mental disease is indicated by:
1. Incoherence
2. Delusion
3. Flight of idea
4. Perseveration of speech

Correct answer: 4. Perseveration of speech

Explanation: Perseveration of speech is suggestive of organic mental disorders. Few books are giving the answer as delusion which is completely wrong. Flight of ideas is seen in case of mania. Incoherence is formal thought disorder characteristic of Schizophrenia.